A person working in an abattoir presented with malignant pustule on hand; What is the causative agent
1. Clostridium botulinum
2. Clostridium perfringens
3. Streptococcus pyogenes
4. Bacillus anthracis

Correct answer: 4. Bacillus anthracis

Explanation: * Clinical clue here are: Abattoir who has contact with animal products; * Classical malignant pustule is seen in Anthrax. It occurs usually in face and neck * A papule is seen at the site of entry followed by vesicle and necrotic ulcer. * The lesion characteristic of cutaneous anthrax is central black eschar; this lesion is called as malignant pustule. Ref:- Ananthanarayan and Paniker's Textbook of Microbiology 10th ed; Pg num:- 250